Limit for registration of birth is
1. 7 days
2. 14 days
3. 21 days
4. Any of the above

Correct answer: 3. 21 days

Explanation: Ans. c (21 days) (Ref: Park PSM 22nd/pg. 783)REGISTRATION OF VITAL EVENTS - In an effort to improve the civil registration system, the Govt of India promulgated the Central Births and Deaths Registration Act in 1969. The act came in force on 1st april 1970. The time limit for registering the event of births and that of deaths is 21 days uniformly all over India.